Drug useful in acute M.I.are all except -
1. Nifedepine
2. Aspirin
3. ACE inhibitors
4. Metoprolol

Correct answer: 1. Nifedepine